According to the Workmen's Compensation Act 1923 which of the following is considered as an occupational disease
1. Typhoid
2. Anthrax
3. Tetanus
4. Dengue

Correct answer: 2. Anthrax

Explanation: Ref:Park's Textbook of Preventive and Social Medicine 25th Ed